Scissor bite is seen in
1. Anterior cross-bite
2. Complete deep-bite
3. Total maxillary lingual cross-bite
4. Total maxillary buccal cross-bite

Correct answer: 4. Total maxillary buccal cross-bite